The most common type of Tracheo-Oesophageal Fistula is -
1. Esophageal atresia without tracheoesophageal fistula
2. Esophageal atresia with proximal tracheoesophageal fistula
3. Esophageal atresia with distal tracheoesophageal fistula
4. Esophageal atresia with proximal and distal fistula

Correct answer: 3. Esophageal atresia with distal tracheoesophageal fistula